Which one of the following makes epiphyseal cartilage matrix fail to calcify?
1. Thyroxine
2. Hypervitaminosis A
3. Hypovitaminosis D
4. Hydrocortisone

Correct answer: 3. Hypovitaminosis D

Explanation: In the absence of vitamin D, epiphyseal chondrocytes continue to proliferate, but their matrix does not calcify, which leads to rickets.